Which of the following prevents aspiration?
1. LMA
2. Oropharyngeal airway
3. Nasopharyngeal airway
4. Proseal LMA

Correct answer: 4. Proseal LMA

Explanation: Ans. is 'd' i.e., Proseal LMA [Ref: Understanding Paediatric Anaesthesia Td/e p. 141A type of definite airwayDefinite airway is an airway that is adequately secured in trachea and it adequately protect the airway from aspiration.ProSeal (PLMA), a modification of Classic LMA, has a gastric drainage tube placed lateral to main airway tube which allows the regurgitated gastric contents to bypass the glottis and prevents the pulmonary aspiration.